A patient will not shed organisms in
1. Carrier State
2. Incubation period
3. Latent infection
4. Convalescence

Correct answer: 3. Latent infection